Which of the following is a foldable rubber dam frame?
1. Starlite visi frame
2. Young's metal frame
3. Nygaard-Ostby
4. Le cadre articule

Correct answer: 4. Le cadre articule